M/C nerve injured in ligation of superior thyroid artery
1. Recurent laryngeal nerve
2. Facial nerve
3. Mandibular neve
4. External laryngeal nerve

Correct answer: 4. External laryngeal nerve